Sputum can be disinfected by all except -
1. Autoclaving
2. Boiling
3. Cresol
4. Chlorhexidine

Correct answer: 4. Chlorhexidine